Which of the following is a cardiotoxic anticancer drug?
1. Bleomycin
2. Doxorubicin
3. 5 FU
4. Dactinomycin

Correct answer: 2. Doxorubicin

Explanation: Ans: B (Doxorubicin) Ref: Goodman &Gillman's The Pharmacological Basis of Therapeutics, 2011. 12th Edition, McGraw Hill, Burton LL P 1712-1718Explanation:Cardiomyopathy is the most important long term toxicity of DoxorubicinIn the acute phase, ST and T wave changes and arrhythmias can be precipitated.Pericarditis- myocardiatis sy ndrome following infusion of this drug w hich either manifests as CHF with pericarditis and conduction disturbances.Cumulative toxicity is characterized by CHF and damage to myocardial fibrilsDexrazoxane may reduce troponin T elevation and cardio toxicity.Note:Pulmonary toxicity is the serious adverse reaction of Bleomycin.